A 65 year old woman after knee implant surgery complains of calf pain and swelling in the leg, from last 2 days. Later the
complains of breathlessness and dies suddently in the ward Probable cause -
1. Pulmonary embolism
2. Myocardial infarction
3. Stroke
4. ARDS

Correct answer: 1. Pulmonary embolism